The left recurrent laryngeal nerve recurs around the
1. Left primary bronchus
2. left subclavian artery
3. Left subclavian vein
4. Ductus arteriosus

Correct answer: 4. Ductus arteriosus

Explanation: Early in embryological development, both the right and left recurrent laryngeal nerves hook (recur) around aortic arch 6. The left aortic arch 6 persists as the ductus arteriosus(distal part) while proximal part of it forms pulmonary artery. 6TH phyrangeal arch derivatives:- Nerve-reccurent laryngeal nerve Artery- pulmonary artery (and ductus arteriosus) Muscles - all muscles of larynx except cricothyroid.